Early gastric carcinoma conned to -
1. Mucosa
2. Mucosa and submucosa
3. Muscularis, mucosa and submucosa
4. Lymph nodes

Correct answer: 2. Mucosa and submucosa

Explanation: Early gastric cancer is denied as adenocarcinoma limited to the mucosa and submucosa of the stomach, regardless of the lymph node status.
Approximately 10% of patients with early gastric cancer are found to have lymph node metastasis on presentation,
Overall cure rate with adequate gastric resection and lymphadenectomy is -95%.
It has the best prognosis among stomach cancer subtypes.